Nipple retraction in Ca breast due to infiltration of
1. Suspensory ligaments
2. Lactiferous ducts
3. Lymphatics
4. Pectoralis fascia

Correct answer: 2. Lactiferous ducts

Explanation: Answer- B. Lactiferous ductsIt is seen in breast carcinoma due to infltration of the lactiferous ducts by carcinoma.It is due to extention of the growth along the lactiferous ducts and subsequent fibrosis.Nipple retraction is circumferential in carcinoma and slit like in periductal mastitis.